What do you understand by the term secular trend-
1. Long term changes
2. Short long term changes
3. Seasonal Changes
4. Periodical changes

Correct answer: 1. Long term changes

Explanation: The term secular trend implies changes in the occurrence of disease(i.e. A progressive increase or decrease)over a long period of time, generally several years or decade. (refer pg no:66 park textbook 23 rd edition)